True about "Michaelis-Guttman" bodies?
1. Calcium deposition in lysosomes
2. Located in inter-cellular spaces
3. May involve lungs and colon apart from urinary tract
4. All of the above

Correct answer: 4. All of the above

Explanation: Ans. d (All of the above) (Ref. Robbin's pathology 7th/ 1027).MALAKOPLAKIA#It is a rare chronic inflammatory process that most often affects the bladder but can involve the GIT.#It is diagnosed endoscopically, often as an incidental finding, and may appear as a mucosal plaque, a polypoid lesion, or even a stricture. Thus, it may be mistaken for a carcinoma.#The diagnosis is essentially a histological one.- The characteristic lesion consists of collections of tissue macrophages which may contain inclusion bodies-- Michaelis-Guttman bodies.#These are Gram-positive and thought to be glycolipid (possibly breakdown products of microbes).#Malakoplakia may occur with a carcinoma or secondary to malnutrition or immunosuppression.